The terminal branches of the external carotid artery are:
1. Superficial temporal and transverse facial
2. Transverse facial and maxillary
3. Posterior auricular and maxillary
4. Superficial temporal and maxillary

Correct answer: 4. Superficial temporal and maxillary